In acute anterior uveitis, pupil is -
1. Oval
2. Circular
3. Small, irregular
4. Any of the above

Correct answer: 3. Small, irregular

Explanation: Pupillary signs 1. Narrow pupil: It occurs in acute attack of iridocyclitis due to irritation of sphincter pupillae by toxins. Iris oedema and engorged radial vessels of iris also contribute in making the pupil narrow. 2. Irregular pupil shape: It results from segmental posterior synechiae formation. Dilatation of pupil with atropine at this stage results in festooned pupil.